Imiquimod is used in treatment of anogenital warts acts mainly as:-
1. Antifungal
2. Antiviral
3. Immunomodulator
4. Keratolytic

Correct answer: 3. Immunomodulator

Explanation: Topical immunomodulation with imiquimod 5% cream is used for treatment of: genital warts superficial basal cell carcinoma actinic keratoses Acts on Toll-like receptor 7 (TLR-7). This is a cell surface receptor found on cells of monocyte lineage. Interaction of TLR-7 with ligands activates a signalling pathway, leading to release of large amounts of interferon-a, IL-12, TNF-a and other potent cytokines. S/E: irritation, discomfort and occasionally erosion at the point of application with a small risk of causing vitiligo-like depigmentation.